Ethmoid bone forms A/E:
1. Superior turbinate
2. Middle turbinate
3. Interior turbinate
4. Uncinate process

Correct answer: 3. Interior turbinate

Explanation: Ans. C Inferior turbinate "The inferior turbinate is a separate bone, while rest of the turbinates are a part of ethmoidal labyrinth."